Mc Callum's patch is diagnostic of -
1. Infective endocarditis
2. Rheumatic endocarditis
3. Myocardial infarction
4. Tetralogy of Fallot (ToF)

Correct answer: 2. Rheumatic endocarditis